Transcription is the process of -
1. Protein synthesis
2. DNA replication
3. Synthesis of RNA
4. None

Correct answer: 3. Synthesis of RNA

Explanation: Ans. is 'c' i.e., Synthesis of RNA o DNA stores genetic information Information about amino acid sequence of all the proteins is present in the form of genes in DNA.o The entire genetic material present in the DNA of an organism is known as genome.o The important role of DNA in transfer of information in living cells is called central dogma of molecular biology.o According to the central dogma, information flows from DNA to RNA to protein. This occurs in three steps:-DNA replication :- There is copying of parent DNA to form daughter DNA molecules having nucleotide sequence indentical to those of the parent DNA.Transcription:- This is the process in w'hich the genetic messages in DNA are rewritten in the form of RNA. In simple words. Synthesis of RNA from DNA is called transcription (flow of information from DNA to RNA).Translation:- In translation, the genetic message coded by RNA is translated by the ribosomes into the protein structure, i.e. synthesis of protein from RNA.